All of the following are associated with Thyroid storm, except:
1. Surgery for thyroiditis
2. Surgery for thyrotoxicosis
3. Stressful illness in thyrotoxicosis
4. I131 therapy for thyrotoxicosis

Correct answer: 1. Surgery for thyroiditis

Explanation: Thyroid storm refers to an endocrine emergency caused by life threatening levels of thyroid hormones in the blood, which is often precipitated by surgery, stressful illness etc. Thyroidits is associated with hypothyroidism, so surgery for thyroiditis does not precipitate thyroid storm. Ref: Neurobiology of Epilepsy and Aging By R. Eugene Ramsay, Page 139; Harrison's Internal Medicine, 17th Edition, Pages 2237, 2240